Dithionite test is done for assessing -
1. Hb F
2. Hb E
3. Hb A
4. Hb S

Correct answer: 4. Hb S

Explanation: Ans. is `d' i.e., Hb S Dithionite test is a rapid screening tube test for the detection of HbS.